Hyperacusis is due to the damage to which of the following muscles:
1. Orbicularis oris
2. Styloglossus
3. Stylopharyngeus
4. Stapedius

Correct answer: 4. Stapedius